The inferior dental artery is a branch of the
1. Mandibular artery
2. Maxillary artery
3. Pterygomandibular plexus
4. None of the above

Correct answer: 2. Maxillary artery